Essential amino acids are all except:
1. Leucine
2. Lysine
3. Methionine
4. Proline

Correct answer: 4. Proline

Explanation: 10 amino acid are essential - T - Threonine V -VALINE P- Phenylalanine A- Arginine T- Tryptophan M- Methionine I -Isoleucine L -Leucine L - Lysine 2 amino acid are semi essential -Arginine and histidine can be synthesized by adults and not by growing children